Cleft lip is operated at what age
1. 1 month
2. 6 months
3. 10 weeks
4. 1 year

Correct answer: 3. 10 weeks